Following antibiotics are safe to pregnancy:
1. Aminoglycosides
2. Penicillin
3. Cotrimoxazole
4. Ciprofloxacin

Correct answer: 2. Penicillin

Explanation: Penicillin and its derivatives has a wide margin of safety and are not toxicto mother or fetus streptomycin:cause ototoxicity Tetracyclines including doxycline can cause staining of teeth and potentially skeletal abnormalities Quinolones like ciprofloxacin and norfloxacin are best avoided as they are toxic to developing cartilage first trimester cotrimoxazole has been associated with birth defects especially cardiovascular TEXTBOOK OF OBSTETRICS, SHEILA BALAKRISHNAN,Pg no:569,2nd edition